True about GIST are all,except :
1. Most common site is duodenum
2. Well circumscribed
3. Ulceration and necrosis common
4. PET useful in predicting response to therapy

Correct answer: 1. Most common site is duodenum

Explanation: . Most common site is duodenum